Etomidate causes all except ?
1. Coronary insufficiency
2. Decreased steroid
3. Decreases Intracranial tension
4. Nausea and vomiting

Correct answer: 1. Coronary insufficiency

Explanation: Ans. is 'a' i.e., Coronary insufficiency Etomidate produces little cardiovascular and respiratory depression --> Agent of choice for cardiovascular surgeries (bypass, aneurysms, valve surgery). Etomidate is the most cardiostable inducing agent. Etomidate has the highest incidence of nausea and vomiting amonst inducing agents 30%-40%. It can produce hiccups and myoclonus. Superficial thrombophlebitis and pain on injection may occur --> Pain can be reduced by using larger vein and injecting lidocaine just before etomidate.